Structures derived from the neural crest are?
1. Pia
2. Dental papillae
3. Adrenal medulla
4. All of the above

Correct answer: 4. All of the above

Explanation: D i.e. All of the above